All of the following statements about synovial fluid are true. Except-
1. Follows Non - Newtonian fluid kinetics
2. Secreted primarily by type A synovial cells
3. Contains hyaluronic acid
4. Viscosity is variable

Correct answer: 2. Secreted primarily by type A synovial cells

Explanation: synovial fluid is plasma transudate from synovial capillaries, modified by secretory activities of type-B synovial lining cells.